Radium emits which of the following?
1. b, g
2. a, b, g
3. a, b
4. Neutrons

Correct answer: 2. a, b, g

Explanation: Ans. is 'b' i.e., a, b, g o Radium emits a, b and g rays. Radium also produces neutrons when mixed with beryllium.